Sweating as a result of exertion is mediated through
1. Adrenal hormones
2. Sympathetic cholinergic
3. Sympathetic adrenergic
4. Parasympathetic cholinergic

Correct answer: 2. Sympathetic cholinergic

Explanation: Sweat glands have a sympathetic but cholinergic nerve supply.